ATT drug causing contact lens stainig is
1. INH
2. Rifamipicin
3. Streptomycin
4. Pyrazinamide

Correct answer: 2. Rifamipicin

Explanation: refer Goodman Gilman 12th/1553 Rifamipicin cause discolouration (orange) of secretions leading to control lens5 staining